Soft tick transmits –
1. Relapsing fever
2. KFD
3. Tularemia
4. Indian tick typhus

Correct answer: 1. Relapsing fever